Hemodialysis is used in all except-
1. Barbiturates
2. Organophosphates
3. Salicylates
4. Theophylline poisoning

Correct answer: 2. Organophosphates

Explanation: Hemodialysis is not useful in organophosphate poisoning.